L.B W. Baby -
1. 2.9- 2.6 kg
2. 2.7-2.9 kg
3. 3.2-3.5kg
4. 1.5-2.5 kg

Correct answer: 4. 1.5-2.5 kg

Explanation: Ans. is 'd' i.e., 1.5-2.5 kg